A drug that is NOT contraindicated in G–6 PD deficiency is :
1. Primaquine
2. Nitrofurantoin
3. Dapsone
4. INH

Correct answer: 4. INH